After application of a stimulus a potential change has occurred in the neuronal membrane but there is no opening of gated ion channels. That change in membrane potential is called as
1. Action potential
2. Local potential
3. Electrotonic potential
4. Resting potential

Correct answer: 3. Electrotonic potential

Explanation: "Changes in membrane potential that do not lead to the opening of gated ion channels are passive responses of the membrane and are called electrotonic potentials.